Ultrasonography transducer contains ___:
1. Sodium fluoride
2. Lead Zirconate
3. Caesium fluoride
4. None

Correct answer: 2. Lead Zirconate

Explanation: Ans. B. Lead ZirconateLead Zirconate titanate (PZT) is the most widely used material in the ultrasound transducers/probes replacing the previously discovered barium titanate.